Temporal pallor in optic disc seen in all except
1. Optic neuritis
2. Compression of optic nerve
3. Leber's hereditary optic neuritis
4. Glaucoma

Correct answer: 4. Glaucoma

Explanation: Optic atrophy, pallor of the optic nerve head, is a sign found in patients with visual loss due to pathology of the optic nerve or retinal ganglion cells. ... It refers topallor of the optic disc which results from irreversible damage to the retinal ganglion cells and axons. It is commonly seen in Optic neuritis Compress of optic nerve Leber's hereditary optic neuritis Ref AK khurana 6/e p459